Zero dose of Polio vaccine in which is give ?
1. Before giving DPT
2. At birth
3. When child is having diarrhoea
4. When child is having Polio

Correct answer: 2. At birth

Explanation: Ans. is 'b' i.e., At birth